Which intrinsic muscle is not supplied by median nerve
1. Abductor pollicis brevis
2. Adductor pollicis
3. Opponens pollicis
4. First lumbrical

Correct answer: 2. Adductor pollicis

Explanation: Adductor pollicis is supplied by deep branch of ulnar nerve which ends in this muscle.Abductor pollicis brevis, opponens policies and first 2 lumbricals are supplied by median nerve.B D Chaurasia 7th edition Page no: 124